Which of the following is not true regarding delusional disorder?
1. Early immigration
2. Social isolation
3. Sensory impairment
4. Occurs at early age

Correct answer: 4. Occurs at early age

Explanation: Delusional disorders do not occur at an early age. Risk factors for development of delusional disorders- Advanced age Social isolation Sensory impairment or isolation (e.g. auditory or visual disturbances) Family history of delusional disorder Recent immigration (is also risk factor for schizophrenia) Certain personality features ,like excessive interpersonal sensitivity (even trivial interpersonal problems cause lot of negative emotions)